Arrange the following ECG changes of hyperkalemia with increasing potassium levels:- a. Prolonged PR interval b. Peaked T waves c. Sine wave pattern d. Absent P waves
1. b - a - d - c
2. c - a - d - b
3. b - c - d - a
4. d - a - b - c

Correct answer: 1. b - a - d - c

Explanation: --> --> ECG changes appear progressively with rising potassium levels HYPERKALEMIA: Serum potassium levels > 5.5 mEq /L Potassium levels ECG changes Line of treatment 5.5 - 6.5 mEq /L (mild) Tall,peaked T-waves Stop K+ intake offending drugs 6.5 - 8 mEq / L (Moderate) Prolonged PR interval, Flat P waves, Wide QRS complex Inj. Sodium Bicarbonate Insulin-glucose infusion > 8mEq / L (Severe) Absent P waves, Bundle branch block SINE WAVES Inj. Ca gluconate Rx of moderate Hyperkalemia Long term K+ binding resin Refractory hyperkalemia Dialysis.